Scheuerman"s disease occurs in
1. Adults
2. Elderly
3. infants
4. Adolescents

Correct answer: 4. Adolescents

Explanation: Scheuermann deformity is the osteochindritis of ring epiphysis of vertebrae. REF : MAHESWARI 9TH ED